Which is NOT a micro nutrient -
1. Iodine
2. Vitamin A
3. Iron
4. None

Correct answer: 4. None

Explanation: Ans. is 'None' NUTRIENTS o Nutrients are organic and inorganic complexes contained in food. o There are two major types of nutrients ? A) Micronutrients Micronutrients are nutrients needed throughout life in small quanties. They are dietary minerals needed by the human body in very small quantities. Macrominerals which are required in larger quantities. o Micronutrients include ? 1. Vitamins Vitamin A (retinal) Vitamin B complex --> B1 (thiamin), B2(riboflavin),133(Niacin),13,(Pento thenic acid), B6 (Pyridoxin), B, (biotin), 13, (folic acid), B12 (cyanocobalamin). Vitamin C (Ascorbic acid) Vitamin D 2. Vitamin E Vitamin K Z Microminerals (Trace elements)--) required intake is less than 100 mg/day Boron o Chromium o Fluoride o Iron o Molybdenum q Zinc Cobolt o Copper o Iodine o Mangnese o Selenium 3. Macrominerals required > 100 mg/day Calcium Phosphorus Sodium Magnesium Potassium B) Macninutrients (liroximateprincipals) o These are the nutrients which are consumed in large quantities. a They provide bulk energy. Macronutrients are - i) Proteins it) Fats iii) Carbohydrate